All causes metabolic acidosis, except:
1. Methanol
2. Ethanol
3. Salicylate
4. Isopropanol

Correct answer: 4. Isopropanol

Explanation: Ans. Isopropanol